Mechanism of action of d-tubocurarine is
1. Competitive, nondepolarizing block at the Nm cholinergic receptor
2. Non - competitive, nondepolarizing block at the Nm cholinergic receptor
3. Competitive, depolarizing block at the Nm cholinergic receptor
4. Noncompetitive, depolarizing block at the Nm cholinergic receptor

Correct answer: 1. Competitive, nondepolarizing block at the Nm cholinergic receptor

Explanation: Depolarizing MR - Succinylcholine | - Shortest acting MR - C/I in nerve and muscle injury because it can cause | K+ - Hyperthermia can occur. - It causes fasciculations responsible for post-operative muscle pain. Non - Depolarizing or competitive MR d- Tubocurarine - It releases lot of histamine that leads to vasodilation and bronchoconstriction. It competitively inhibit the Nm receptor.